All of the following diuretics increase K excretion except:-
1. Acetazolamide
2. Furosemide
3. Triamterene
4. Thiazide

Correct answer: 3. Triamterene

Explanation: POTASSIUM SPARING DIURETICS P: Potassium sparing diuretics A: Amiloride S: Spironolactone T: Triamterene E: Epleronone